Dietary changes advocated by WHO for prevention of heart diseases included all of the following except -
1. Reduction in fat intake to 20-30 percent of caloric intake
2. A decrease in complex carbohydrateconsumption
3. Consumption of saturated fats be limited to less than 10% of total energy intake
4. Reduction of cholesterol to below 100mg per 1000kcl per day

Correct answer: 2. A decrease in complex carbohydrateconsumption

Explanation: increase in complex carbohydrate consumption that is vegetables ,fruits,legumes and whole grains